Ambivalence is most commonly associated with:
1. Depression
2. Generalized anxiety disorder
3. Schizophrenia
4. OCD

Correct answer: 3. Schizophrenia

Explanation: C i.e. Schizophrenia